Congenital morgagnian cataract is a feature of:
1. Rubella cataract
2. Lowe's syndrome
3. Hereditory cataract
4. Galactosemic cataract

Correct answer: 1. Rubella cataract

Explanation: Ans. Rubella cataract